Which of the following causes of hypercalcemia is not associated with high bone turnover?
1. Hyperthyroidism
2. Vitamin A intoxication
3. Vitamin D intoxication
4. Thiazides

Correct answer: 3. Vitamin D intoxication

Explanation: Ans. 'c' i.e., Vitamin D intoxicationCauses of hypercalcemiaParathyroid related* Primary hyperparathyroidism* (solitary adenoma, MEN)* Lithium therapy* Familial hypercalciuric hypercalcemia* Malignancy related* Solid tumor with metastasis/ paraneoplastic syndrome* Carcinoma breast/Lung/Kidney etc.* Hematological: Multiple myeloma/ Lymphoma/ Leukemia* Aluminum intoxication* Milk Alkali syndromeVitamin D related* Vitamin D intoxication* Increased 2, 25 (OH)7D eg. Sarcoidosis* Idiopathic hypercalcemia of infancyAssociated high bone turnover* Hyperthyroidism* Immobilization* Thiazides* Vitamin A intoxicationAssociated With Renal Failure* Severe secondary hyper-parathyroidism